While playing, a bugle player uses the following muscle of the face to make the sound from the bugle:
1. Buccinator Muscle
2. Orbicularis Oris Muscle
3. Platysma Muscle
4. All of the above

Correct answer: 1. Buccinator Muscle

Explanation: The buccinator muscle arises from the pterygomandibular raphe in the back and courses forward in the cheek to blend into the orbicularis oris muscle in the lips. It helps to compress the cheek against the teeth and thus empties food from the vestibule of the mouth during chewing. In addition, it is used while playing musical instruments and performing other actions that require the controlled expression of air from the mouth. Ref: Dhillon N. (2012). Chapter 1. Anatomy. In A.K. Lalwani (Ed), CURRENT Diagnosis & Treatment in Otolaryngology--Head & Neck Surgery, 3e.